Thrombotic event is seen in all of the following, except:
1. Paroxysmal nocturnal hemogloninuria
2. Disseminated intravascular coagulation
3. Immune thrombocytopenic purpura
4. Heparin induced thrombocytopenia

Correct answer: 3. Immune thrombocytopenic purpura

Explanation: Primary or idiopathic ITP -Two clinical subtypes: acute and chronic. -Both are autoimmune disorders in which platelet destruction results from the formation of antiplatelet autoantibodies. -Associated with increased bleeding tendency and not thrombosis. PNH The triad of hemolysis, pancytopenia, and thrombosis is unique to this condition. Thrombosis is the leading cause of death. DIC characterized by activation of the coagulation sequence that leads to the formation of microthrombi throughout the microcirculation of the body. Heparin-Induced Thrombocytopenia Two types; Type I thrombocytopenia which occurs rapidly after the onset of therapy, is moderately severe, Type II thrombocytopenia is more severe and occurs 5 to 14 days after initiation of therapy. It can, paradoxically, lead to life-threatening venous and arterial thrombosis. 4T SCORE FOR HIT : Thrombocytopenia Timing Thrombosis Other cause of Thrombocytopenia In HIT antibodies are targeted against PF-4(platelet factor-4).